Which of the following statements about Lambert Eaton Myaesthenic syndrome is true?
1. Tensilon test is positive
2. Associated with adenocarcinoma of lung
3. Extraocular muscles are most commonly involved
4. Incremental response to repeated electrical stimulation

Correct answer: 4. Incremental response to repeated electrical stimulation

Explanation: Nerve stimulation studies in Eaton Lambert Myasthenic Syndrome when done at low rate of repetitive stimulation shows an initial low-amplitude decremental response. But at high rates (50 Hz), or following exercise, incremental responses occur. Ref: Harrison's Internal Medicine, 18th Edition, Chapter 386; Current Medical Diagnosis and Treatment, 2012, Chapter 24